A 26 year old pregnant woman presents with arthritis and a malar rash which worsens exposed to sunlight. She has a low-grade fever fever and is admitted to the hospital. What is the likely diagnosis:
1. Systemic Lupus Erythematosis
2. Chloasma
3. Steven Johnsons syndrome
4. Lyme disease

Correct answer: 1. Systemic Lupus Erythematosis

Explanation: Symptoms of Systemic Lupus Erythematosis (SLE) include butterfly shaped malar rash which is sensitive to sunlight, painful joints, low-grade fever, fatigue, mouth ulcers, anorexia, weight loss, lymphadenopathy, enlarged spleen and alopecia. SLE affects females more than males to a ratio 8:1. It commonly affects the non-white women of the child bearing age. Pregnancy could precipitate symptoms for the first time. Ref: Neuroimmune Pharmacology, By Howard E. Gendelman, Tsuneya Ikezu, 2008, Page 288